Cerebral perfusion pressure is -
1. Arterial pressure minus peripheral venous pressure
2. Venous pressure minus arterial pressure
3. Arterial pressure minus intracranial pressure
4. Arterial pressure x venous pressure

Correct answer: 3. Arterial pressure minus intracranial pressure

Explanation: Ans. is 'c' i.e., Arterial pressure minus intracranial pressure(Ref Principles of medical physiology p. 719.)Cerebral perfusion Pressure: is the difference between mean arterial pressure (MAP) and intracranial pressure.(ICP) or central venous pressure (CVP) whichever is greater. CPP is normally 80-100 mm Hg.